For every 10-degree Celsius raise in the temperature, the rate of most of the enzymatic reactions:
1. Halves
2. Doubles
3. Quadruples
4. Increases 10-fold

Correct answer: 2. Doubles

Explanation: The temperature coefficient (Q10) is the factor by which the rate of a biologic process increases for a 10degC increase in temperature. For enzymes, temperature coefficient is 2, i.e. for every 10 degrees raise in temperature, the rate of enzyme activity doubles. But, after certain temperature, the enzyme protein gets denaturate and the rate of enzyme activity falls down.